All are laboratory finding in Iron deficiency anemia EXCEPT:
1. Decreased serum iron
2. Increased total iron binding capacity
3. Decreased serum ferritin
4. Increased mean corpuscles volume

Correct answer: 4. Increased mean corpuscles volume

Explanation: (Increases mean carpfuslar volume): Ref: 376-HM (436- Basic pathology 8th)Laboratorv Diagnosis of Hvpochromic AnaemiaTestIron deficiencyChronic disordersThalassaemiaSideroblastic anaemial.MCV, MCH, MCHC|Low normal to reduced|||| (except MCV raised in acquire type2. S. iron||N|3. TIBC||NN4. S. ferritin||N| (complete saturation)5. Marrow-iron storesAbsentPresentPresentPresent6. Iron in normo blastsAbsentAbsentPresentRing sideroblasts7. Hb electrophoresisNormalNormalAbnormalNormal